True about HIV all except -
1. PML caused by JC virus
2. CNS lymphoma is the most common CNS tumor
3. CMV is the most common cause of retinitis
4. Most common cause of seizure is candida

Correct answer: 4. Most common cause of seizure is candida